A 60 year old man presents with non productive cough and haemoptysis for 4 weeks; He has grade III clubbing, and a lesion in the apical lobe on x ray. Most likely diagnosis here is :
1. Small cell ca
2. Non small cell ca
3. Fungal infection
4. Tuberculosis

Correct answer: 2. Non small cell ca

Explanation: Answer is B (non small cell carcinoma): Presence of non productive cough, haemoptysis, clubbing and an apical lobe lesion in a sixty year old male suggests a diagnosis of carcinoma lung. Association with clubbing and a peripheral location lead us to a diagnosis of non small cell variant. Most common histological variant associated with clubbing : non small cell carcinoma Most common histological variant presenting at peripheral location : non small cell carcinoma Tuberculosis although, may present with such symptomatology, the age of the patient and non productive nature of cough go against its diagnosis.